Ekbom syndrome is referred to as:
1. Delusion of infestation
2. Delusion of persecution
3. Delusion of love
4. Deletion of infidelity

Correct answer: 1. Delusion of infestation

Explanation: Ans. A. Delusion of infestationDelusion of infestation/parasitosis- pt reports of insects/burrowing worms- under skinEkbom's syndrome- pt believes that he is infested with small but macroscopic organism